Cafeteria approach is related with
1. Child and maternal health
2. Contraception
3. New born care
4. Non - communication disease

Correct answer: 2. Contraception

Explanation: Cafeteria approach :
Under RCH program, cafeteria approach with basket of choices for contraceptive methods. It includes

Condom.
IUD.
OCPs.
Female sterilisation.
Male sterilisation.